Right gastroepiploic artery is a branch of :
1. Right Hepatic artery
2. Gastroduodenal artery
3. Hepatic artery
4. Superior mesenteric atery

Correct answer: 2. Gastroduodenal artery

Explanation: Ans. is 'b' ie Gastroduodenal artery (Ref: BDC, 4/e, vol2, p262; Gray's Anatomy for Students, 1/e, p297)Right gastroepiploic (or gastro-omental artery) is a branch of gastroduodenal artery.Left gastroepiploic artery is a branch of splenic artery.Branches of major arteries is one of the most frequently asked questions in all PG examination and there is no excuse if one does them wrong. Learn them well.Branches of the celiac trunk is one of the most favorite.Branches of Celiac trunkCeliac trunk arises from abdominal aorta at the T12/L1 IV disc level and immediately divides into three branches.